Acidophilic cells of anterior pituitary secretes?
1. IH
2. THS
3. ACTH
4. GH

Correct answer: 4. GH

Explanation: In the anterior pituitary, the term "acidophil" is used to describe two different types of cells: somatotrophs, which generate somatotropin (also known as growth hormone; a protein hormone). mammotrophs, which generate prolactin (a protein hormone Ref: guyton and hall textbook of medical physiology 12 edition page number:550,551,552